Psammoma bodies are seen in:
1. Papillary carcinoma of thyroid
2. Follicular carcinoma of thyroid
3. Anaplastic carcinoma of thyroid
4. Lymphoma of thyroid

Correct answer: 1. Papillary carcinoma of thyroid

Explanation: Ans. A: Papillary carcinoma of thyroid A psammoma body is a round collection of calcium, seen microscopically. The term is derived from the Greek word psammos meaning "sand." Psammoma bodies are commonly seen in certain tumors such as: Papillary thyroid carcinoma Papillary renal cell carcinoma Serous papillary ovarian adenocarcinoma (cystadenocarcinoma) Endometrial adenocarcinomas (Papillary serous carcinoma -3%-4%) Meningioma Mesothelio ma Psammoma bodies usually have a laminar appearance.